Resection of 90% of the ileum and jejunum causes all the following except -
1. Hypogastrinemia
2. Steatorrhea
3. Anemia
4. Extracellular volume depletion

Correct answer: 1. Hypogastrinemia

Explanation: Harrison says “Gastric hypersecretion of acid occurs in many patients following large resection of the small intestine. The etiology is unclear but may be related to reduced hormonal inhibition of acid secretion or increased gastrin levels due to reduced small intestinal catabolism of circulating gastrin".